Drug of choice for rapid cyclers in manic–depressive psychosis is :
1. Carbamazepine
2. Valproate
3. Phenytoin
4. Lithium

Correct answer: 2. Valproate